All embrasure spaces are reflections of the
1. Form of the teeth involved
2. Size of the teeth involved
3. Eruption sequence involved
4. None of the above

Correct answer: 1. Form of the teeth involved